Gardener's syndrome is a rare hereditary disorder involving the colon. It is characterized by:
1. Polyposis colon, cancer thyroid, skin tumours
2. Polyposis in jejunum, pituitary adenoma and skin tumours
3. Polyposis colon, osteomas, epidermal inclusion cysts and fibrous tumours in the skin
4. Polyposis of gastrointestinal tract, Cholangiocarcinoma and skin tumours

Correct answer: 3. Polyposis colon, osteomas, epidermal inclusion cysts and fibrous tumours in the skin

Explanation: Gardner's syndrome is a hereditary disorder characterized by adenomatous polyposis of large intestine in association with osteomas, epidermoid cysts, fibrous tumors of skin and congenital hypertrophy of retinal pigment epithelium. Ref: Intestinal Polyps and Polyposis: From Genetics to Treatment and Follow-up By Gian Gaetano Delaini, Page 60